Hemolytic anemia may be characterized by all of the following except -
1. Hyperbilirubinemia
2. Reticulocytosis
3. Hemoglobinuria
4. Increased plasma haptoglobin level

Correct answer: 4. Increased plasma haptoglobin level